Total cardiac output doesn't change during
1. Sleep
2. From supine to standing position
3. Exercise
4. Arrhythmias

Correct answer: 1. Sleep

Explanation: Sleep does not effect cardiac output.